Pyogenic infection and brain infarction are associated with
1. Coagulative necrosis
2. Liquefaction necrosis
3. Caseous necrosis
4. Fat necrosis

Correct answer: 2. Liquefaction necrosis

Explanation: Liquefaction necrosis is commonly due to ischemic injury or bacterial and fungal infections but hydrolytic enzymes in the tissues degradation have a dominant role in causing semi-fluid material. Common examples are infracted brain and abscess cavity.Harshmohan textbook of pathology 7th edition.